The joint between the attachment of the 8th and the 9th rib to the 7th rib is a
1. Fibrocartilaginous joint
2. Symphyseal joint
3. Synovial joint
4. Fibrous joint

Correct answer: 3. Synovial joint

Explanation: The joint between the attachment of the 8th and 9th rib with the 7th rib is a synovial joint. Most of the joints in the thoracic cavity- Interchondral, sternochondral, costovertebral and costotransverse joints, are plain synovial joints because the thoracic cavity needs to expand during inspiration. The exception are : 1st sternocostal joint: Synarthrosis (fibrous) Interchondral joint between the 9th and 10th cartilages is never synovial and sometimes absent. Costochondral joints are primary cartilaginous joints (Synchondrosis) Midline joints like manubriosternal and xiphisternal joints are secondary cartilagenous joints of symphysis type. Ref: Gray's Anatomy 41st edition Pgno: 940